Which is not a common cause of Placenta Accreta?
1. Previous LSCS
2. Previous curettage
3. Previous myomectomy
4. Previous placenta previa\/abrupto placenta

Correct answer: 4. Previous placenta previa\/abrupto placenta

Explanation: The basic cause of placenta accreta is decidual deficiency. Associated conditions include implantation in the lower uterine segment over a previous cesarean section scar or any other uterine incision,or after uterine curettage. Reference: Mudaliar and Menon's clinical obstetrics,12th edition, page no;330.